Fistula is most common in -
1. Crohn's disease
2. Ulcerative colitis
3. Infective entero colitis
4. Coeliac sprue

Correct answer: 1. Crohn's disease